In heterochromic cyclitis:
1. 60% of patients develop glaucoma
2. Show a good response when treated with steroids
3. Lens implantation following cataract surgery is contraindicated
4. Hyphaema during cataract surgery is due to iris neovascularization

Correct answer: 4. Hyphaema during cataract surgery is due to iris neovascularization

Explanation: Ans. Hyphaema during cataract surgery is due to iris neovascularization